Failure to execute reasonable degree of skill and care or wilful negligence of a medical practitioner which causes some harm to the patient called
1. Professional misconduct
2. Professional jealousy
3. Professional negligence
4. Vicarious responsibilty

Correct answer: 3. Professional negligence

Explanation: Medical negligence (Professional negligence, Malpractice, Malpraxis) It is the failure to execute reasonable degree of skills and care or wilful negligence of a medical practitioner which causes some harm or bodily injury or death of the patient. Negligence may be the act of omission: not doing something that a reasonable man under the circumstances would do or act of commission: doing something a reasonable man would not do. Ref: FORENSIC MEDICINE AND TOXICOLOGY DR PC IGNATIUS THIRD EDITION PAGE 378